Which amongst the following is associated with Altitudinal visual field defect:
1. Optic neuritis
2. AION (Anterior Ischemic Optic Neuropathy)
3. Intracranial tumor
4. Papillitis

Correct answer: 2. AION (Anterior Ischemic Optic Neuropathy)

Explanation: Ans. (b) AION (Anterior Ischemic Optic Neuropathy)Ref: Harrison's 19th ed. / 202* Anterior Ischemic Optic Neuropathy refers to a segmental or generalized infarction of anterior part of the optic nerve* It occurs due to occlusion of the short posterior ciliary arteries* Visual field defects show typically altitudinal hemianopia involving the inferior (commonly) or superior half.